Drug of choice for MRSA infection ?
1. Ciprofloxacin
2. Oxacillin
3. Vancomycin
4. Clindamycin

Correct answer: 3. Vancomycin

Explanation: Ans. is 'c' i.e., Vancomycin Methicillin resistance staphylococcus aureus (MRSA) MRSA is a bacterium responsible for several difficult-to-treat infections in humans. It may also be referred to as multi-drug resistant staphylococcus aureus or oxacillin resistant staphylococcus aureus (ORSA). MRSA is by definition any strain of staphylococcus aureus that is resistant to a 13-lactams including penicillin, methicillin, cloxacillin, nafcillin, oxacillin and cephalosporins. Resistance develops due to alteration in transpeptidase (penicillin binding protein) on which all 13-lactam antibiotic act : so, MRSA is resistant to all 0-lactam antibiotics. MRSA (especially community acquired MRSA; CA-MRSA) display enhanced virulence, spreading more rapidly and causing disease much more severe than traditional staphylococcus aureus.